Silver impregnation technique is used in the identification of ?
1. Spirochaetes
2. Leptospira
3. Borrelia
4. All of the above

Correct answer: 4. All of the above

Explanation: Silver impregnation: cells and structure too thin to be seen under the ordinary microscope may be rendered visible if they are thickened by impregnation of silver on the surface. Such a method is used for the demonstration of spirochetes and bacterial flagella REF:Ananthanarayan & Panicker's Textbook of Microbiology 9th edition pg no:13